Iron content of MALA-D -
1. 10 mg
2. 19-5 mg
3. 29-5 mg
4. 40 mg

Correct answer: 2. 19-5 mg

Explanation: An. is 'b' i.e., 19 5 mg o MALA-D contains -30 mg (0- 03 mg) of ethinyl estradiol.0-15 mg of desogestrel (D-norgestrel).o Each brown coloured film coated tablet contains 60 mg ferrous fu mar ate equivalent to ferrous iron 19-5 mg.